Colour of urine in phenol poisoning:
1. Red
2. Green
3. Yellow
4. Blue

Correct answer: 2. Green

Explanation: Ref: The Essentials of Forensic Medicine and Toxicology by KS Narayan Reddy. 29th edition. 2010. Pg: 478Explanation:Phenol poisoning can lead to green or black urine due to carboluria.Carboluria is due to oxidation of phenol to hydro- quinone and pyrocatechol.Poisonings affecting Urine ColorRed Coloured Urine - CausesMyoglobinuria- there will be a brownish-red colour. Often associated with ischemic muscle damage, crush injuries, and after vigorous exercises and toxinsGreen Coloured Urine - CausesOxalate Poisoning Phenol poisoning.Black Coloured Urine - CausesCarbolic acid poisoning.Phenol poisoningBlue Coloured Urine - CausesPresence of indigo or of methylene blue (used as an antidote to certain types of poisoning).